Hydrocortisone Acetate is injected in a painful arthritic TMJ to?
1. Increase the blood supply
2. Lubricate the synovial joint
3. Anaesthetize the nerve supply
4. Decrease the inflammatory response

Correct answer: 4. Decrease the inflammatory response